The following situations are associated with rise of temperature after death except:
1. Burns
2. Heat stroke
3. Pontine hemorrhage
4. Septicemia

Correct answer: 1. Burns

Explanation: A i.e. Burns In burns, there is lot of evaporation from raw surface 1/t heat loss, so it leads to algor mortis (cooling) not post mortem caloricity.